Signs of antemortem injury are all EXCEPT:
1. Wound gaping
2. Venous bleeding
3. Everted edges
4. Inflammation present

Correct answer: 2. Venous bleeding

Explanation: ANSWER: (B) Venous bleedingREF: Textbook of Forensic Medicine and Toxicology by Nagesh Kumar Rao Page 252Antemortem Vs Postmortem injury: AntemortemPostmortemHemorrhageArterialVenousLaminatedNot laminatedFirmly adherentWeakly adherentFirm rubbery variegatedSoft friable, chicken fat tikeDeep stainingSuperficial stainingCannot wash awayCan be washed awayEdges & MarginsGaping presentNo gapingMargins evertedMargins apposedSwollenNot swollenVital reactionInflammation presentNo inflammationInfection (pus) presentNo PusHealing (granulation) presentHealing absentWound serotonin & histamineIncreasedNot increasedMicrobiologyClot has plateletsClot lacks platelets Infiltration of RBC, LeucocytesNo infiltration